Sudden acute loss of vision with shallow anterior chamber is suggestive of-
1. Acute angle closure glaucoma
2. Acute iridocyclitis
3. Open angle glaucoma
4. Viral keratitis

Correct answer: 1. Acute angle closure glaucoma

Explanation: Ans. is 'a' i.e., Acute angle closure glaucoma Acute angle closure glaucomaSymptoms* Sudden onset of very severe pain in the eye which radiates along the branches of 5th nerve and is frequently associated with nausea, vomiting and prostrations, Patient develops rapidly progressive loss of vision, redness, photophobia and lacrimation. Coloured halos are seen.Signs* Lid edema* Conjunctiva is chemosed and congested (both conjunctival & ciliary vessels are congested)* Cornea is oedematous and insensitive Anterior chamber is very shallow & with aqueous flare Angle of anterior chamber is closed (on gonioscopy) Iris is discoloured* Pupil is semidilated, vertically oval and fixed. It is non reactive to both light and accommodation. IOP is markedly raised (40- 70 mm Hg)* Optic disc is oedematous & hyperemic Fellow eye shows shallow anterior chamber and a narrow angle.